69XXY is a -
1. complete mole
2. partial mole
3. Down syndrome
4. none of the above

Correct answer: 2. partial mole

Explanation: Ans. is 'b' i.e., Partial mole Important features of complete and partial molesFeaturesComplete molePartial moleo Embryo / fetuso Absento Presento Hydrophic degeneration of villio Prominent & diffuseo Variable and focalo Trophoblastic hyperplasiao Diffuseo Focalo Uterine sizeo More than date (30-60%)o Less than dateo Theca lutein cysto Common (25-50%)o Uncommono Karyotypeo 46 XX (85%), paternal in origino Triploidy (90%), diploid (10%)o Beta HCGo High (> 50,000)o Slight deviation (< 50,000)o Classic clinical symptomso Commono Rareo Risk of persistent GTDo 20%o < 5%